Which type of articulators permit horizontal as well as vertical motion, but do not orient the motion to the TMJ via facebow transfer?
1. Class I
2. Class II
3. Class III
4. Class  IV

Correct answer: 2. Class II

Explanation: Class II articulator:

Articulator which permit horizontal and vertical motion but they do not orient the movement to TMJ with a facebow.
Three types.